Difference between prematurity and IUGR is that premature baby has:a) Sole creases all over feetb) Breast nodule 2 mm'sc) Ear cartilage well formed - good clastic recoild) Skin glistening, thine) Poor muscle tone
1. bde
2. ade
3. ace
4. bce

Correct answer: 1. bde

Explanation: Prematurity

Definition: Baby born before 37 completed week of gestation are preterm/premature baby.
Incidence: 20-25%

Difference between Prematurity and IUGR.